Bilirubin in conjugation with glucoronic acid conjugation has properties -
1. Able to cross cell membrane
2. Hydrophillic to hydrophobic
3. Hydrophobic to hydrophilic
4. Lipid soluble

Correct answer: 3. Hydrophobic to hydrophilic